Delayed wound healing is seen in all EXCEPT:
1. Malignancy
2. Diabetes
3. Hypertension
4. Infection

Correct answer: 3. Hypertension

Explanation: Ans. C i.e. Hypertension Wounds & tissue repair Healing by primary/ 1st intention: - Closed wounds, - Edges approximated - e.g. clean skin incision closed with sutures Factors delaying wound healing: - Vitamin C deficiency, - Presence of vitamin E (inhibitory role), - Deficiency of trace metals (zinc, copper etc.), - Absence of oxygen (reduced perfusion), - Anemia, - Infection etc.